Decomposition of a body produces green colour due to hydrogen sulphide accumulating. Where does this colour change first occur?
1. Face
2. Iliac fossa
3. Around umbiticus
4. Palms and soles

Correct answer: 2. Iliac fossa

Explanation: Right Iliac fossa is the first region to show this discolourization. Because Caecum lies superficially in Right ILiac fossa.